Naltrexone is used for which of the following poisoning ?
1. Heroin
2. Atropine
3. Cannabis
4. Diazepam

Correct answer: 1. Heroin